Which of the following drugs is used in Ml?
1. Cocaine
2. Pethidine
3. Morphine
4. Butorphanol

Correct answer: 3. Morphine

Explanation: Ans. is 'c' i.e., Morphine